How many incisions are used in the divided system approach of pars planavitrectomy?
1. 1
2. 2
3. 3
4. 4

Correct answer: 3. 3

Explanation: It has the advantage of smaller instruments,easy handling,improved visualisation REF:khurana,pg no 261